Fascicular ulcer is seen in:
1. Phlyctenular keratitis
2. Rosacea keratitis
3. Riboflavin deficiency
4. All of the above

Correct answer: 1. Phlyctenular keratitis

Explanation: Ans. Phlyctenular keratitis